Clara cells are seen in:
1. Bronchoalveolar cell Ca
2. Small cell Ca
3. Squamous cell Ca
4. Non small cell Ca

Correct answer: 1. Bronchoalveolar cell Ca

Explanation: Ans: a (Bronchoalveolar cell Ca) Ref: Robbins, 7th ed, p. 761Clara cells are seen in bronchoalveolar carcinomaBronchoalveolar cell Ca1 -9% of lung tumoursAffect terminal bronchoalveolar regionsGrowth pattern is referred to as "Lepdic"Types:Non mucinous - Columnar, peg shaped or cuboidal cellsMucinous - Distinct columnar with cytoplasmic & intra-alveolar mucinAerogenous spread presentG/A: Single or multiple nodules coalescing to form pneumonia like consolidationM/E: Mucin secreting bronchoalveolar cellsClara cellsType II pneumocytes.